C-Carbohydrate in Streptococcus hemolyticus is important for :
1. Lancefield classification
2. Phagocytic inhibition
3. Toxin production
4. Haemolysis

Correct answer: 1. Lancefield classification